Which of the following interventions is NOT included in active management of IIIrd stage of labor:
1. Administration of a uterotonic within 1 minute of delivery
2. Immediate clamping, cutting and ligation of the cord
3. Massage of uterus
4. Controlled cord traction

Correct answer: 2. Immediate clamping, cutting and ligation of the cord

Explanation: Ans. B i.e. Immediate clamping, cutting and ligation of the cord